Improper handling of mercury in the clinic results in occupational hazard through:
1. Absorption of mercury through skin
2. Mercury along with food
3. Mercury along with filling
4. Mercury along with water

Correct answer: 1. Absorption of mercury through skin